All of the following factors evaluate the chances of amputation in a limb, except
1. Age
2. B.P
3. Velocity of trauma
4. Presence of infection

Correct answer: 4. Presence of infection

Explanation: D i.e. Presence of infection Mangled Extremity Severity Score (MESS) can be used as predictor of eventual amputation versus limb salvageQ. Higher the score lower the chances of salvage i.e. higher score has higher chances of amputation. However recent studies have shown it to be inaccurate in predicting the functional outcome for mangled limb patient* Factors in evaluation of MESS are : Mn- " Shocked SIA"